Term cafe coronary was coined by:
1. Roger Haugen
2. Marie FX Bichat
3. Alphonse Bertillon
4. Joseph Bell

Correct answer: 1. Roger Haugen

Explanation: Ans. Roger Haugen